Thiamine dependent enzyme-
1. Transketolase
2. Transaldolase
3. Amino transferase
4. Einolase

Correct answer: 1. Transketolase

Explanation: Ans. is 'a' i.e., Transketalase o Active form (coenzyme form) of thiamine is thiamine pyrophosphate (TPP), also called thiamine diphosphate (TDP).o TPP acts as coenzyme for-i) Oxidative decarboxylation Pyruvate dehydrogenase, a-ketoglutarate dehydrogenase, brached-chain keto acid dehydrogenase.ii) Transketolase in PPPo Thiamine deficiency causes beriberi.